Which of the following drugs is not an anticonvulsant?
1. Phenytoin
2. Flunarizine
3. Topiramate
4. Phenobarbitone

Correct answer: 2. Flunarizine

Explanation: Flunarizine is a weak calcium channel blocker used in the treatment of migraine. All the other drugs are used as anti convulsant. Ref: K D TRIPATHHI 8TH ED.Page no 222, 305